Dose of vitamin A prophytaxis given in age group 16 years -
1. 2000 iu
2. 20000 iu
3. 200000 iu
4. 100000 iu

Correct answer: 3. 200000 iu

Explanation: Ans. is 'c' i.e., 200000 iu